Which one of the following is not a feature of liver histology in Non-cirrhotic portal fibrosis (NCPF)?
1. Fibrosis in and around the portal tracts
2. Thrombosis of the medium and small portal vein branches
3. Non specific inflammatory cell infiltrates in the portal tracts
4. Bridging fibrosis

Correct answer: 4. Bridging fibrosis

Explanation: Fibrosis in noncirrhotic portal fibrosis is confined to portal and periportal region.
Fibrosis bridging one portal tract to another (bridging fibrosis) is not seen.
Pathology :

Non-cirrhotic portal fibrosis is primarily a vascular disorder of the liver characterized by fibrous intimal thickening of the portal vein or its branches in patients with non-cirrhotic portal hypertension.

Vascular changes

Hallmark of the disease is thrombosis/sclerosis of the portal vein branches.
The portal vein is dilated with sclerosis of the walls and in autopsy thrombin, in medium or small portal vein branches with accompanying areas of ischaemic necrosis have been reported.
Aberrant Intrahepatic vessels may be present in the periportal area, which correspond to dilated terminal portal vein branches or venues. These are often termed as "megasinusuoids" or periportal angiomatosis.

Fibrosis

Vascular changes are accompanied by the portal and periportal fibrosis of varying extent.